Vector for Kala-azar-
1. Flea
2. Tsetse fly
3. Sand fly
4. Tick

Correct answer: 3. Sand fly

Explanation: 2 hosts Man and dog-veebrate host Female sandfly of the genus phlebotomous-intermediate host (refer pgno:39 baveja 3 rd edition)